Collection of urine sample of a patient of TB kidney is done:
1. 24 hours urine
2. 12 hours urine
3. In early morning
4. Any time

Correct answer: 3. In early morning

Explanation: Ans. is 'c' i.e., In early morningSampling - Collect the whole of patient early morning urine on three consecutive days (Previously it was 24 hours urine collection but now it is not recommended).Culture of three morning urine samples yields a definitive diagnosis in 90% cases.